Following is true about cystic Fibrosis
1. Nasal polyposis is absent
2. Sweat chloride levels > 30 mmol / L is diagnostic
3. Staphylococcus is most common pathogen  causing  infection in cystic fibrosis in adults.
4. Chromosome - 7 genetic defect

Correct answer: 4. Chromosome - 7 genetic defect

Explanation: In adults pseudomonas is most common arganism causing infection in cystic fibrosis adult patients.
Sweat chloride levels > 60 mmol / L is diagnostic.
Nasal polyps is present.